Which is not a Macrophage :
1. Monocyte
2. Microglia
3. Kupffer cells
4. Lymphocytes

Correct answer: 4. Lymphocytes

Explanation: Ans. is 'd' i.e. Lymphocytes Phagocytic cells are of two typesMononuclear macrophagesPolymorphonuclear microphagesNeutrophilsEosinophilsBasophilsMononuclear macrophagesBlood macrophages are - Monocytes*Tissue macrophages are - Histiocytes*Monocytes are found in blood but they leave the circulation and reach various tissues such as in -Lungs - as Alveolar macrophage*Liver - as Kupffer cells*Brain - as Microglia*